Management of flail chest with respiratory failure is:
1. Chest tube drainage
2. Oxygen administration
3. IPPV
4. Internal operative fixation of the fractures segments

Correct answer: 3. IPPV

Explanation: - Flail chest - 2 or more consecutive ribs at 2 or more than 2 places - Treatment - Oxygen inhalation Adequate analgesia Physiotherapy - If flail chest + respiratory failure: IPPV